Which part of the ventricular system contains choroid plexus?
1. Cerebral aqueduct
2. Frontal horn
3. Interventricular foramen
4. Third ventricle

Correct answer: 4. Third ventricle

Explanation: The third ventricle has a choroid plexus; the frontal horn, and the cerebral aqueduct are all devoid of a choroid plexus; the interventricular foramen has no choroid plexus.